A 50-year-old woman presents with acute right flank pain of 72 hours in duration. Her temperature is 37degC, BP-140/85 mm Hg, and pulse 85/minute. A CBC is normal. Urinalysis reveals hematuria and urine cultures are negative. Imaging studies show stones in the right renal pelvis and ureter. This patient's condition may be associated with which of the following endocrine disorders?
1. Conn syndrome
2. Cushing syndrome
3. Hyperparathyroidism
4. Hyperthyroidism

Correct answer: 3. Hyperparathyroidism

Explanation: - Given clinical features suggests the diagnosis of nephrolithiasis which can be caused by primary hyper-parathyroidism Primary hyperparathyroidism - d/t excessive secretion of PTH by parathyroid adenoma/ hyperplasia/carcinoma. - Excessive PTH causes - Excess bone resorption - | S. Calcium levels - | Filtered calcium by kidney - Resulting in renal stones & calcification of renal interstitium & tubules . - Metastatic calcification secondary to hypercalcemia can also be seen in stomach,lungs,myocardium & blood vessels - Accompanied by mental changes - depression, emotional liability, poor mentation & memory defects. Other choices given are not associated with hypercalcemia / formation of renal calculi.